Which of the following bone ossifies in membrane
1. Humerus
2. Clavicle
3. Femur
4. Radius

Correct answer: 2. Clavicle

Explanation: (Clavicle) (7-BDC-l 4th)Important features of clavicle1. It is the only long bone that lies horizontally2. It is subcutaneous throughout3. It is the first bone to start ossifying4. It is the only long bones which ossifies in membrane5. It is the only long bones which has two primary centres of ossification6. It is generally said to have no medullary cavity, but this is not always true7. It is occasionally pierced by the middle supraclavicular nerve.